All are true about leprosy except -
1. .+2 mean 2 bacilli in 2 smear
2. At least 7 smear examined
3. Paucibacillary bacterial index < 2
4. Multi bacillary bacterial index grater than or equal to 2

Correct answer: 1. .+2 mean 2 bacilli in 2 smear

Explanation: +2 means 1-10 bacilli, on average, in 10 oil immersion field. Reference; Park's Textbook of preventive and social medicine, 24th edition.Pg no. 337